Conversion of prekallikrein to kallikrein requires which clotting factor -
1. XIII
2. XII
3. XI
4. X

Correct answer: 2. XII

Explanation: Ans. is'b'i.e., XIIInitiation of intrinsic coagulation pathway occurs when factor XII is exposed to negatively charged surface.This leads to activation offactor XII to XIIa.Factor XIIa can then hydrolyze prekallikrein to kallikrein, which in turn activates more XII to XIIa.